A female developed a well circumscribed swelling on the nape of her neck. It is not transilluminant, painless and easily moveable. Which of the following one is NOT brilliantly transilluminant?
1. Vaginal hydrocele of infant
2. Cystic hygroma
3. Sacral meningocele
4. Lipoma

Correct answer: 4. Lipoma

Explanation: Lipomas are single or multiple, benign subcutaneous tumors that are easily recognized because they are soft, rounded, or lobulated and movable against the overlying skin. It is not transilluminant. Lipomas are composed of fat cells that have the same morphology as normal fat cells. Also know: Familial lipoma syndrome, is an autosomal dominant trait appearing in early adulthood. Adipositas dolorosa, or Dercum disease, occurs in women in middle age; these are multiple, tender, not circumscribed but rather diffuse fatty deposits. Benign symmetric lipomatosis, which affects middle-aged men, consists of many large nontender, coalescent poorly circumscribed lipomas, mostly on the trunk and upper extremities; they coalesce on the neck and may lead to a "horse-collar" appearance. Ref: Suurmond D. (2009). Section 9. Benign Neoplasms and Hyperplasias. In D. Suurmond (Ed), Fitzpatrick's Color Atlas & Synopsis of Clinical Dermatology, 6e.